A 37-year-old man develops pulmonary hemorrhage and glomerulonephritis. Lung biopsy with immunofluorescence demonstrates IgG deposition along the basement membrane. These antibodies are most likely directed against which of the following types of collagen?
1. Type I
2. Type II
3. Type III
4. Type IV

Correct answer: 4. Type IV

Explanation: Goodpasture syndrome Autoimmune disease Certain domains of type IV collagen are intrinsic to the basement membranes of renal glomeruli and pulmonary alveoli. Resulting in necrotizing hemorrhagic interstitial pneumonitis and rapidly progressive glomerulonephritis. The characteristic linear pattern of immunoglobulin deposition (usually IgG) is the hallmark diagnostic